Hemiplegia is most commonly due to Occlusion Of?
1. Middle cerebral artery
2. Basilar artery
3. Vertebral artery
4. Anterior cerebral artery

Correct answer: 1. Middle cerebral artery

Explanation: The MCA is the most common site for the occurrence of ischemic stroke. Contralateral hemiparesis and hemisensory loss of the face, upper and lower extremities is the most common presentation of MCA syndrome Ref Harrison20th edition pg 2234